Precocious puberty is seen in all except -
1. Tumor of the hypothalamus
2. Ovarian tumor
3. Tumor of the adrenal gland
4. None of the above

Correct answer: 4. None of the above

Explanation: Ans. is 'd' i.e., None of the above [Ref: Nelson 18th/e ch. 563J o Precocious puberty is defined as the onset of secondary sexual characteristics before 8yr of age in girls and 9 yr in boys. o Conditions Causing Precocious Puberty o GONADOTROPIN-DEPENDENT PUBERTY (TRUE PRECOCIOUS PUBERTY) Idiopathic Organic brain lesions Hypothalamic hamartoma Brain tumors, hydrocephalus, severe head trauma, myelomeningocele Hypothyroidism, prolonged and untreated o COMBINED GONADOTROPIN-DEPENDENT AND GONADOTROPENINDEPENDENT PUBERTY Treated congenital adrenal hyperplasia, McCune-Albright syndrome, late Familial male precocious puberty, late o GONADOTROPIN-INDEPENDENT PUBERTY (PRECOCIOUS PSEUDO PUBERTY) Females Isosexual (feminizing) conditions McCune-Albright syndrome Autonomous ovarian cysts Ovarian tumors Granulosa-theca cell tumor associated with Ollier disease Teratoma, chorion epithelioma Sex-cord tumor with annular tubules (SCTAT) associated with Peutz-Jeghers syndrome Feminizing adrenocortical tumor Exogenous estrogens Heterosexual (masculinizing) conditions Congenital adrenal hyperplasia Adrenal tumors Ovarian tumors Glucocorticoid receptor defect Exogenous androgens Males Isosexual (masculinizing) conditions Congenital adrenal hyperplasia Adrenocortical tumor Leydig cell tumor Familial male precocious puberty Isolated Associated with pseudohypoparathyroidism hCG-secreting tumors Central nervous system Hepatoblastoma Mediastinal tumor associated with Klinefelter syndrome Teratoma Glucocorticoid receptor defect Exogenous androgen Heterosexual (feminizing) conditions Feminizing adrenocortical tumor SCTAT associated with Peutz-Jeghers syndrome Exogenous estrogens